Pseudo koebner's sign is seen in
1. Psoriasis
2. Inverse psoriasis
3. Lichen planus
4. Warts

Correct answer: 4. Warts

Explanation: Koebner's phenomenon is appearance of new lesions when a normal skin is stroked because of autoimmune response to trauma.
Pseudo / False koebner's phenomenon is seen in warts or molluscum contagiosum where new lesions appear because of spread of infection.